Injury of common peroneal nerve at the lateral aspect of head of fibula results in all of the following except -
1. Weakness of ankle dorsi-flexion
2. Foot drop
3. Loss of ankle reflex
4. Sensory impairment on lateral aspect of leg extending to the dorsum of foot

Correct answer: 3. Loss of ankle reflex

Explanation: Common peroneal nerve injury may result in
-  Foot drop
-  Weakness of dorsiflexion
-  Inability to extend the toes.
-  Loss of eversion
-  Sensory loss

Anterior side of leg
Lateral side of leg
Dorsum of foot and toes (including medial side of big toe)

Common peroneal nerve injury does not affect
-  Sensation on lateral border of foot (Supplied by Sural nerve)
-  Sensation on medial border of foot (Supplied by saphenous nerve)
-  Ankle reflex